Gangrene of intestine is seen in all the following conditions, except -
1. Tricuspid Valve Endocarditis
2. Shock
3. Mesenteric Artery Thrombosis
4. Volvulus

Correct answer: 1. Tricuspid Valve Endocarditis

Explanation: Ans. is 'a' i.e., Tricuspid valve Endocarditis Tricuspid valve endocardilis would produce emboli, that would not be able to reach the intestine due to pulmonary filteration. They will be trapped in the pulmonary circulation and would not reach systemic circulation. Mesenteric artery thrombosis & volvulus would occlude the mesenteric vascular supply resulting in ischemia and gangrene of intestine. Shock causes non-occlusive ischemia & gangrene of intestine.